Biosafety precaution grade III is practiced in all ofthe following organisms except ?
1. Human influenza virus
2. St. louis encephalitis virus
3. Coxiella burnetti
4. Mycobacterium tuberculosis

Correct answer: 1. Human influenza virus

Explanation: Human influenza virus Biosafety level (Biosafety grade) Persons working on microbiological research are at risk of acquiring infections from the agents they manipulate. Different guidelines have been evolved as a means of protecting microbiological workers, known as biosafety level. "A biosafety level is the level of biocontaimnent precautions required to isolate dangerous biological agents in enclosed facility". There are four levels of biosafety - i) Biosafety level - 1 ii) Biosafety level - 2 iii) Biosafety level - 3 iv) Biosafety level - 4 Each level has guidelines for laboratory facilities, safety equipment and laboratory practices and techniques. 1) Biosafety level - 1 (BSL -1) BSL-1 risk group contains biological agents that pose low risk to personnel and the environment. Examples - BSL-1 is found in water-testing laboratories, in high schools, and in colleges teaching introductory microbiology - Agrobacterium radiobacter - Aspergillus niger - Bacillus thuringiensis - E.coli strain K-12 - Lactobacillus acidophilus, - Micrococcus leuteus - Neurospora crassa Pseudomonas classes. Work is done on an open bench or in a fume hood. Standard microbiological practices are used when working in the laboratory. Decontamination can be achieved by treating with chemical disinfectants or by steam autoclaving. Lab coats are required and gloves are recommended. The laboratory work is supervised by an individual with general training in microbiology or a related science. ii) Biosafety level-2 (BSL-2) BSL-2 risk group contains biological agents that pose moderate risk to personnel and the environment. If exposure occurs in a laboratory situation, the risk of spread is limited and it rarely would cause infection that would lead to serious disease. Effective preventive measures and treatment are available in the event that an infection occurs. Examples - Access to the laboratory is restricted. An autoclave should be readily available for decontaminating waste materials. Bacteria Viruses Fungi MOTT * Adeno * Cryptococcus Pneurnococci * Calci * Candida Streptococci * Corona * Aspergillus Staphylococci * Herpes * Dermatophytes Enterobacteriaciae * Influenza E.coli Clostridium sp. Bacillus (except anthrax) Lab coats, gloves and face protection is required. The laboratory work must be supervised by a competent scientist who understand the risk associated with working the agents involved. iii) Biosafety level -3 (BSL-3) BSL-3 risk group contains biological agents that usually produce serious disease. These agents are usually not transmitted by casual contact. The laboratory must be a separate building or isolated zone, with double-door entry, directional inward airflow. Examples:- Bacteria Viruses - Anthrax - Lymphocytic choriome? - Brucella ningitis virus - Coxiella burnetti - Hantaan virus - Tularemia - St. Louis encephalitis virus - MAC - Japanese encephalitis virus - M.tuberculosis - West nile encephalitis virus - SARS corona virus Fungi - Coccidioides imitis - Blastomyces dermatitides - Histoplasma capsulatum - Paracoccidioides brazileinsis iv) Biosafety level- 4 (BSL-4) BSL-4 risk group contains biological agents These agents are usually easily transmitted either directly or indirectly, or by casual con Numerous special facilities and precautions Example :? - Lassa virus - Marburg virus - Ebola virus - Herpes simiac virus that usually produce very serious infection that is often untreatable. from one individual to another, from animal to human or vice-versa, tact. are required when working with these agents.